Mebendazole is more effective than albendazole in Rx of
1. Enterobius vermicularis
2. Trichuris trichiura
3. Trichinella spiralis
4. Ascaris lumbricoides

Correct answer: 2. Trichuris trichiura